Common site of haematopoiesis in fetus is -
1. Liver
2. Spleen
3. Bone marrow
4. Gut

Correct answer: 1. Liver

Explanation: Blood cell progenitors first appeared during the third week of embryonic development in yolksac.But its contribution is only transient. During 3rd month of embryogenesis hematopoetic stem cells migrate to liver which becomes the chief site of blood cell formation until shortly before birth. Reference :Robbins and Cotran Pathologic basis of disease.South Asia Edition-9 volume 1.page no. 414